mGluR 4 is associated with which taste?
1. Sweet
2. Sour
3. Bitter
4. Umami

Correct answer: 4. Umami

Explanation: Ans. D UmamiRef: Ganong, 25th ed. pg. 222* Most taste buds on the tongue and other regions of the mouth can detect umami taste, irrespective of their location.* Biochemical studies have identified the taste receptors responsible for the sense of umami as modified forms of mGluR4, mGluR1 and taste receptor type 1 (T1R1 + T1R3), all of which have been found in all regions of the tongue bearing taste buds.